Strongest force of bonding b/w retina an RPE
1. Vitreous gel pressure
2. Intraocular fluid pressure
3. RPE water transport
4. IPM

Correct answer: 4. IPM

Explanation: D i.e. IPM Interphotoreceptor matrix (IPM) is the strongest mechanism for bonding the retina to retinal pigment epithelium (RPE)Q. It also provide physical support of photoreceptors and transfer nutrients and visual pigment. The quality of these functions is controlled by RPE through the synthesis of matrix materials, transport of proteins, ions and water. Because acute alteration in degree of hydration / dehydration changes its bonding property & viscosity. The strength of adhesion is constantly and acutely dependent on metabolism (i.e., adhesion force drops to 0 after death & reversibly restored or enhanced by tissue oxygenation). Vitreous gel pressure, intraocular fluid pressure & RPE water transport also help in retinal adhesion.